After administrating live vaccine, immunoglobulins are given after-
1. 1 week
2. 2 weeks
3. 10 weeks
4. 12 weeks

Correct answer: 2. 2 weeks

Explanation: Ans. is 'b' i.e., 2 weeks o Live vaccine should not be given for 12 weeks after an injection of normal human Ig and if a vaccine has already been given Ig injection should be deferred for 2 weeks.